Peripheral neuritis is a complication of
1. Isoniazid
2. Ethambutol
3. Rifampicin
4. Pyrazinamide

Correct answer: 1. Isoniazid